Which of the following does not progress to carcinoma
1. Bowens disease
2. Bowenoid papulosis
3. Leukoplakia
4. Erythroplakia

Correct answer: 2. Bowenoid papulosis

Explanation: Bowenoid papulosis is a rare condition of the genital area caused by human papilloma virus. Clinically, it resembles viral wart and histopathologically Bowen's disease. We herein report two male patients presenting with multiple flat papules on the penis and scrotum.